A 75-year-old man presents to his GP for a routine check-up. On examination the GP hears a high-pitched diastolic murmur, heard loudest at the right sternal edge and on expiration. Given the likely diagnosis, which of the following is NOT a risk factor for this condition?
1. Ankylosing spondylitis
2. Marfan's syndrome
3. Holt Oram Syndrome
4. Infective endocarditis

Correct answer: 3. Holt Oram Syndrome

Explanation: Aortic regurgitation, High pitched diastolic murmur heard in case of AR Best heard on the left side. Option A: MC cardiovascular disease in Ankylosing spondylitis =A.R. Option B: Marfan syndrome is a Risk factor. Option C: ASD+ skeletal defects/Absent radius bone - Holt Oram Syndrome = In ASD shunt murmur is absent, in ASD it is flow murmur | Mid diastolic murmur Option D: Inf. endocarditis- bacteria will invade the valve leaflet & will contribute to developing Diastolic Murmur.